A patient is on periodic renal dialysis. Minor oral surgery should be performed
1. One day before dialysis
2. On the of dialysis
3. One day after dialysis
4. One week after dialysis

Correct answer: 3. One day after dialysis